Thyrocervical trunk is branch of
1. 1st
2. 2nd
3. 3rd
4. None

Correct answer: 1. 1st

Explanation: The thyrocervical trunk is a short, wide vessel which arises from the front of the first subclavian artery, close to the medial border of scalenus anterior and between the phrenic and vagus nerve. It almost immediately divides into inferior thyroid, suprascapular, transverse cervical arteries Ref BDC volume3,sixth edition pg 150